Water content in lens is ?
1. 64%
2. 35%
3. 1%
4. 28%

Correct answer: 1. 64%

Explanation: Ans. is 'a' i.e., 64% The lens is composed of 64% water, 35% protein, and 1% lipid, carbohydrate and trace elements. The protein concentration in the lens is actually the highest amongst body tissues. The main types of proteins are alpha (31%), beta (55%) and gamma (2%) crystallins, and insoluble albuminoids (12%).